What is staircase effect in muscle contraction
1. After long period of rest, initial strength of contraction is less than few concentrations later
2. After long period of rest, initial strength of contraction is more than few concentrations later
3. After long period of work, strength of contraction is less than few concentrations later
4. After long period of work, strength of contraction is more than few concentrations later

Correct answer: 1. After long period of rest, initial strength of contraction is less than few concentrations later

Explanation: When a muscle begins to contract after a long period of rest, its initial strength of contraction may be as little as one half its strength 10 to 50 muscle twitches later. That is, the strength of contraction increases to a plateau, a phenomenon called the staircase effect or treppeIt is caused primarily by increasing calcium ions in the cytosol because of the release of more and more ions from the sarcoplasmic reticulum with each successive muscle action potential and failure of the sarcoplasm to recapture the ions immediately.Guyton 13th edition pg: 84